According to Freud's theory, age group of the phallic stage is:
1. 1-2 yrs.
2. 2-3 yrs.
3. 3-5 yrs.
4. 7-10 yrs.

Correct answer: 3. 3-5 yrs.